A lesion in the paracentral lobule causes -
1. Contralateral foot weakness
2. Seizures only
3. Migraine
4. Cognitive Loss

Correct answer: 1. Contralateral foot weakness